A one year old child presents with short stature, lethargy, & constipation. Clinical examination shows a palpable goiter. Laboratory investigations revealed a low T4 and elevated TSH which of the following is the most likely diagnosis.
1. Thyroid Dyshormonogenesis
2. Thyroid Dysgenesis
3. Central Hypothyroidism
4. TSH Receptor Blocking Antibody

Correct answer: 1. Thyroid Dyshormonogenesis

Explanation: Child with presence of a palpable goitre ,along with clinical and laboratory features of hypothyroidism suggests a diagnosis of thyroid dyshormonogenesis from the options listed in the question. Ref: Pediatrics By Lloyd J. Brown, Lee Todd Miller page 168.